A child presents with sepsis. Bacteria isolated showed beta hemolysis on blood agar, resistance to bacitracin, and a positive CAMP test. The most probable organism causing infection is -
1. S. Pyogenes
2. S. Agalacitae
3. Enterococcus
4. S. Pneumoniae

Correct answer: 2. S. Agalacitae

Explanation: Points favoring to S. agalactiae:

Septicemia in a child
β hemolysis on blood agar
Resistant to bacitracin and a positive CAMP test

S. pyogenes: sensitive to bacitracin and CAMP test is negative.
Ref: Apurba Sastry’s Essentials of Medical Microbiology 1/e p229, Ananthanarayan 9/e p216, 8/e p207